Cadaveric position of vocal cords -
1. Midline
2. 1.5 mm from midline
3. 3.5 mm from midline
4. 7.5 mm from midline

Correct answer: 3. 3.5 mm from midline

Explanation: Ans. is 'c' i.e., 3.5 mm from midlinePosition of vocal cordso The position of the vocal cords may be described as being in various positions. These are : -Median positionThe vocal cords are in midline.This is the position of normal larynx during phonation and in recurrent laryngeal nerve palsy.Paramedian positionJust off midline (1.5 mm form midline)This position occurs in normal larynx during strong whisper.This is the resting position of vocal cords after long-term recurrent laryngeal nerve injury.Cadeveric (Intermediate) position (3.5 mm from midline)It is 15-20deg from midline.This is the position of immediate total denervation of both recurrent laryngeal nerve as well as superior laryngeal paralysis, as in high vagal paralysis.Gentle abduction (7 mm from midline)This position is seen during quiet respiration in normal larynx and in paralysis of adductors (very rare).Abduct position (9.5 mm from midline)It is 30-45deg from midline.This is the position of maximum adduction during deep inspiration.